Injury to radial nerve in lower part of spiral groove:
1. Spares nerve supply to extensor carpi radialis longus
2. Results in paralysis of anconeus muscle
3. Leaves extensions at elbow joint intact
4. Weakens pronation movement

Correct answer: 3. Leaves extensions at elbow joint intact

Explanation: C i.e. Leaves extension at elbow joint intact Triceps, anconeus are supplied by radial nerve above the level of spiral groove; so these are spared in injuries of radial n. at & below spiral groove thus leaving elbow extension intact Q